Bleeding from nipple is seen in:
1. Mastitis
2. Breast carcinoma
3. Mammary dysplasia
4. Eczema

Correct answer: 2. Breast carcinoma

Explanation: Ans. B: Breast carcinoma A blood-stained discharge may be caused by duct ectasia, a duct papilloma or carcinoma